Extrapyramidal syndrome like side effects are seen in -
1. Haloperidol
2. Clozapine
3. Tetracycline
4. Ketoconazole

Correct answer: 1. Haloperidol

Explanation: Ans. is 'a' i.e., Haloperidol Drugs causing extrapvramidal effects o Butyrophenones (Haloperidol) o Methyldopa o OCP'S o Reserpine o Levodopa o Metoclopromide o Phenothiazines o Tricyclic Antidepressants